Investigation not useful in Multiple Myeloma
1. CT SCAN
2. MRI
3. BONE SCAN
4. PET

Correct answer: 3. BONE SCAN

Explanation: The Bone scan is a nuclear scan done using Tc99m-MDP and shows a hot spot in areas of osteoblastic activity. As Multiple myeloma has osteolytic metastasis, So bone scan is not sensitive for detecting these bone mets and usually appear as cold areas Multidetector CT (MDCT) is more sensitive in detecting Myeloma and a low-dose technique can be used to limit radiation to the patient